Treatment of acutely developing massive left sided hemothorax in a young male after an accident is ?
1. Strapping of chest
2. Tube thoracostomy
3. Endotracheal intubation + IPPV + pleural fluid aspiration
4. Conservative, wait and watch

Correct answer: 2. Tube thoracostomy

Explanation: Ans. is 'b' i.e., Tube thoracostomy Hemothorax is defined as blood within the pleural cavity. It is classified according to the amount of blood. Minimal hemothorax --> 350 ml Moderate hemothorax --> 350-1500 ml Massive hemothorax --> 1500 ml or more (Note: The rate of bleeding after evacuation of the thorax is even more important.) T/T of Hemothorax ? Tube thoracostomy is performed promptly. In 85% of cases tube thoracostomy is the only treatment required. A small number of cases will have continued bleeding and will require a thoracotomy Indications for thoractomy are - persistent drainage of 200-300 ml/hr - total hemorrhagic output exceeds 1500 ml of blood